Not seen in Narcolepsy:
1. Sleep paralysis
2. Sleep attack
3. Catalepsy
4. Cataplexy

Correct answer: 3. Catalepsy

Explanation: Narcolepsy is characterized by Cataplexy (loss of muscle tone) not Catalepsy.
Catalepsy or catatonia is akinetic mutism & stupor seen in severe depression, schizophrenia.
Remember: Two lepsy's can not be together, Catalepsy is not seen in Narcolepsy.